A patient is found to be positive for HBs Ag on routine laboratory evaluation. Other serological tests for hepatitis are unremarkable. He is clinically asymptomatic and liver enzymes are within the normal range. Which of the following best describes his diagnosis?
1. Inactive HBV carrier
2. Acute Hepatitis B
3. Chronic Hepatitis B
4. Active HBV carrier

Correct answer: 1. Inactive HBV carrier

Explanation: Serologic tests in a patient who is an inactive hepatitis B carrier shows positive HB sA g and anti -HB e, low or undetectable HBV DNA <2000IU/ml, normal liver enzymes and inactive liver histology. Ref: Current medical diagnosis and treatment 2012, Chapter 16; Detection of Bacteria, Viruses, Parasites and Fungi: Bioterrorism Prevention By Mariapia Viola Magni, Page 248. 3. Sherlock's Diseases of the Liver and Biliary Systemedited by James S. Dooley, Page 367, 8.